Hormone with distant site of action acts -
1. Autocrine
2. Paracrine
3. Endocrine
4. Any of the above

Correct answer: 3. Endocrine

Explanation: Ans. is 'c' i.e., Endocrine o Hormones are chemical mediators that control cellular functions. They are secreted into the blood stream by ductless endocrine glands and thereby exert widespread actions.o Hormone may have : -i) Autocrine action: - Acts on the cell from which it is secreted.ii) Paracrine action: - Acts on neighboring cells, e.g., the effect of gastrin on D cells secreting somatostatin.iii) Endocrine action: - Acts on cells distant to the cell from which it is secreted. Most of the hormones act by this mechanism.